IQ 25-50 is suggestive of:
1. Imbecile
2. Idiot
3. Moron
4. Genius

Correct answer: 1. Imbecile

Explanation: Intellectual disability is a general term used when an individual’s intellectual development is significantly lower than average and his or her ability to adapt to the environment is consequently limited. The condition varies in severity and cause. They were described using the terms

Idiot (IQ  below 25) 
Imbecile (IQ from 25 to 50)
Moron (IQ from 50 to 70)